Which of the following drugs prevents the release of leukotrienes and histamne from mast cells ?
1. Zileuton
2. Fexofenadine
3. Nedocromil
4. Tiotropium

Correct answer: 3. Nedocromil

Explanation: Ans. is 'c' i.e., Nedocromil Mast cells are the major source of inflammatory mediators in asthma. Therefore, the drugs which prevent degranulation and release of inflammatory mediators of mast cells can be used for long term prophylaxis in mild to moderate asthma. o Sodium cromoglycate and nedocromil are mast cell stabilizers. Nedocromil has additional antihistaminic action, thus it is especially indicated in patient with multiple disorders (asthma, atopic dermatitis, conjuctivitis, rhinitis, urticaria and food allergy).